When carcinoma of stomach develops secondarily to pernicious anemia, it is usually situated in the
1. Prepyloric region
2. Pylorus
3. Body
4. Antrum

Correct answer: 3. Body

Explanation: The gastric biopsy of an individual with pernicious anemia shows atrophy of all layers of the body and fundus with loss of glandular elements, the absence of parietal and chief cells and replacement by mucosal cells, inflammatory infiltrate and intestinal metaplasia.The antral mucosa is usually well preserved.Ref: Harrison's 18/e 867